Capsule of Bacillus Anthracis is stained by -
1. Gram stained
2. PAS
3. Methylene blue
4. Calcoflour white

Correct answer: 3. Methylene blue

Explanation: Ans. is 'c' i.e., Methylene blue * When blood films containing anthrax bacilli are stained with polychrome methylene blue for a few seconds and examined under microscope, an amorphous purplish material is noticed around bacilli. This represents the capsular material and is characteristic of the anthrax bacillus.